All of the following are advantages of laparoscope assisted vaginal hysterectomy (LAVH) over abdominal hysterectomy except:
1. Less peritoneal adhesions postoperatively
2. Short hospital stay
3. Less postoperative pain
4. Scope of wide exploration of the abdominal and pelvic orga

Correct answer: 4. Scope of wide exploration of the abdominal and pelvic orga

Explanation: Ans. D: Scope of wide exploration of the abdominal and pelvic organs Advantages of laparoscopy over laparotomy includes 1) reduced pain and quick recovery, 2) short hospital stay and 3) less peritoneal adhesions postoperatively